Pro-opimdanocain (POMC) releases all of the following except
1. ACTH
2. MSH
3. B2 -endorphins
4. FSH

Correct answer: 4. FSH

Explanation: POMC a gene on chromosome 2p23 that encodes pro-opiomelanocortin, the melanocortin family of hormones, which include alpha-, beta- and gamma-melanocyte stimulating hormone (MSH) and adrenocorticotropic hormone (ACTH). The melanocortins bind to the melanocortin receptors, a group of five G protein-coupled receptors (MC1R to MC5R) which are involved in a wide range of physiological functions, including pigmentation, energy homeostasis, inflammation, immunomodulation, steroidogenesis and temperature control.Ref: Ganong's review of medical physiology; 24th edition; page no:-487